Most reliable method of identification of a person is :
1. Gustafson method
2. Galion method
3. Anthropometry
4. Scars

Correct answer: 2. Galion method

Explanation: B i.e. Galton method